Deep vein thombosis occurs most commonly after -
1. Total hip replacement
2. Gastrectomy
3. Prostatic operation
4. Brain surgery

Correct answer: 1. Total hip replacement

Explanation: The factors which result in increased risk of venous thrombosis include advancing age and greater complexity of surgical treatment. Orthopedic operations on the lower limbs (hip and knee replacements) are especially likely to result in venous thrombosis." - Bailey & Love